Clinical features of ostium secondum type of atrial septal defect are all except -
1. Occurence of congestive failure in childhood
2. Atrial arrhythmias
3. Wide and fixed splitting of the second heart sound
4. Mid-diastolic rumble along the left sternal border

Correct answer: 1. Occurence of congestive failure in childhood

Explanation: The foramen secundum, or ostium secundum is a foramen in the septum primum, a precursor to the interatrial septum of the human heart. It is not the same as the foramen ovale, which is an opening in the septum secundum. Infants and children with partial atrioventricular (AV) septal defects and significant mitral regurgitation have poor development and are tachypneic and tachycardic at rest. A hyperinflated thorax, bulging precordium, and Harrison grooves wide split, arrhythmias are often present Ref Davidson 23rd edition pg 450